Nerve supply of rhomboides major
1. Spinal accessory nerve, cranial part
2. Spinal accessory nerve, spinal part
3. Dorsal scapular nerve
4. Thoracodorsal nerve

Correct answer: 3. Dorsal scapular nerve

Explanation: Dorsal scapular nerve arising from the nerve root C5 supplies both rhomboides major and minor. Rhomboides major retract the scapula. B D Chaurasia 7th edition Page no : 65